True statement regarding ileum is -
1. Tongue shaped villi in the lumen
2. Lymphatic patch along antimesenteric border
3. Supplied by inferior mesenteric vessels
4. Joins caecum at anterior surface

Correct answer: 2. Lymphatic patch along antimesenteric border

Explanation: Lymphatic patches (peyer's patches) are placed lengthwise along the antimesenteric border of the intestine.
Vili in ileum is finger-like.
The ileum is a midgut derivative and is therefore supplied by the superior mesenteric artery.
Ileum joins the caecum on posterior-medial aspect of coecum.